Loss of an anatomical structure or a physiological function is called:
1. Disability
2. Impairment
3. Handicap
4. Paralysis

Correct answer: 2. Impairment

Explanation: Ans: b (Impairment) Ref: Park, 19th ed, p. 39,40Impairment- is defined as any loss or abnormality of psychological, physiological, or anatomical structure or function.e.g., loss of foot, defective vision, or intellectual disability.Disability- is defined as any restriction or lack of ability to perform an activity in the manner or within the range considered normal for a human being.Handicap- is defined as a disadvantage for a given individual, resulting from an impairment or disability, which limits or prevents the fulfillment of a role, that is normal (depending on the age, sex, and social and cultural factors) for that individual.Taking accidents as an example the above terms can be explained as:AccidentDisease (disorder)Loss of footImpairment (extrinsic or intrinsic)Cannot walkDisability (objectified)unemployedHandicap (socialized)Disease --- impairment --- disability --- handicap